A patient presents with Hb of 8 gm%, WBC count of 2000/mm3 and platlet count of 60000/mm3. What is your likely diagnosis ?
1. Thalassemia
2. Sickle cell anemia
3. Aplastic anemia
4. Anemia of chronic disease

Correct answer: 3. Aplastic anemia

Explanation: Answer- C. Aplastic anemiaThe patient in question is having Pancytopenia (anemia, leukopenia and thrombocytopenia) - Feature of Aplastic anemia.